In the postnatal period the greatest growth in the grey matter of the C.N.S. is of
1. Length of Axon
2. Neuron cell number
3. Dendritic tree
4. Size of Perikaryon

Correct answer: 3. Dendritic tree

Explanation: The brain of newborn weighs approximately 300-350g. By 12 months, it reaches about two-thirds of adult brain. The postnatal growth of cerebral hemispheres results mainly from myelination. Myelination continues long after gray matter has reached a specific volume.